Visual axis is –
1. Center of cornea to retina
2. Object to fovea
3. Center of lens to cornea
4. None

Correct answer: 2. Object to fovea

Explanation: Optical axis:- Axis passing through centres of the cornea, lens to the retina.
Visual axis:- Line passing through fixation point (object) to the fovea.